Appliance of choice in cases with anteroposterior
maxillary deficiency is
1. Cervical pull headgear
2. Reverse pull headgear
3. Occipital pull headgear
4. Parietal pull headgear

Correct answer: 2. Reverse pull headgear